An example of "autoreceptors" in the CNS is:
1. NMDA receptors for
2. Nicotinic receptors for acetyl chlorine
3. Alpha2 receptors for NE
4. GABA-C receptors in retina

Correct answer: 3. Alpha2 receptors for NE

Explanation: Autoreceptor is a presynaptic receptor; binding of the NT with autoreceptor inhibits further secretion of the transmitter. a2-receptor for NE is an example of autoreceptor. NMDA receptor for glutamate is a voltage + ligand gated channel. Nicotinic AChR is a non-specific cation channel. GABA-C receptors are found exclusively in the retina; they are ionotropic receptors.